In both DSM-5 and proposed ICD-11, which of the following has been removed as core criterion of autism spectrum disorder-
1. Disturbance of social interaction
2. Restricted, repetitive patterns of behaviour
3. Disturbances of communication
4. Disturbances of intellectual development

Correct answer: 3. Disturbances of communication

Explanation: Disturbances of communication has been removed from both DSM-5 and proposed ICD-11.